A patient complaints of post coital bleed; no growth is seen, on per speculum examination; next step should be:
1. Colposcopy biopsy
2. Conisation
3. Repeat pap smear
4. . Culdoscopy

Correct answer: 1. Colposcopy biopsy